Normal liver histology is seen in -a) Gilbert's syndromeb) Rotor syndromec) Crigler Najjar syndromed) Dubin Johnson syndromee) Haemochromatosis
1. ab
2. bc
3. abc
4. bcd

Correct answer: 3. abc